Incubation period of swine flu -
1. 1-3 days
2. 2-3 weeks
3. 10-15 days
4. 5 weeks

Correct answer: 1. 1-3 days

Explanation: Swine flu

Swine flu, also called swine influenza, or pig influenza, is caused by influenza virus.
It is mainly occurs in swines (pigs) and occasionally transmitted to human.
It is usually caused by influenza virus type A (H1-N1).
Incubation period is about 1-3 days and the symptoms of swine flu in humans are similar to most influenza infections, e.g. fever, cough, rhinorrhea, fatigue and headache.